Autoimmunity can be caused due to all of the following except:
1. Forbidden clones
2. Expression of cryptic antigens
3. Negative selection of T cells in thymus
4. Inappropriate expression of MHC proteins

Correct answer: 3. Negative selection of T cells in thymus

Explanation: Ans. is 'c' Negative selection of T cell in thymusNegative selection is needed to prevent autoreactive T cells to come into circulation and cause autoimmunity, cryptic antigens are antigenic epitopes which are normally hidden and their exposure leads to development of immune response and in appropriate expression of MHC proteins also leads to development of self-destructive immune system.